Mast cells secrete all except:
1. Histamine
2. Heparin
3. MIP
4. Bradykinin

Correct answer: 4. Bradykinin

Explanation: Ans: d) Bradykinin When presensitized mast cells bind to new antigens two parallel and independent processes take place:1) Degranulation of preformed (primary) mediatorsi) Biogenic amines - Histamineii) Enzymes - neutral proteases (chymase, tryptase) acid hydrolasesiii) Proteoglycans - Heparin, Chondroitin sulfate2) Synthesis and release of secondary mediatorsi) Lipid mediators - Leukotriene C4 D4Prostaglandins D2(Most abundant)PAFii) Cytokines - IL1 , IL3, IL4, IL5, IL6,TNF, GMCSF,MIP 1 (alpha), MIP 1 (beta)